Which of the following is an anterior deprogramming device
1. Herbst appliance
2. Hawley's appliance
3. Lucus jig
4. Lucia jig

Correct answer: 4. Lucia jig